Hassal's corpuscles are seen in
1. Thymus
2. Thyroid
3. Parathyroid
4. Spleen

Correct answer: 1. Thymus

Explanation: Corpuscles of hassall present in the medulla of thymus Formed from eosinophilic epithelial reticular cells arranged concentrically INDERBIR SINGH'S TEXTBOOK OF HUMAN HISTOLOGY SEVENT EDITION PAGE NO139